All the following are indications of caesarean section EXCEPT:
1. Type IV placenta praevia
2. Abruptio placenta
3. Untreated carcinoma cervix stage IB
4. Active herpes genitalis

Correct answer: 2. Abruptio placenta

Explanation: Abruption per se is an indication to terminate pregnancy and an LSCS may be done for any obstetric complication precluding delivery or in case of fetal distress, poor bishops score or hemodynamic compromise in mother Active genital herpes, carcinoma cervix and complete placenta previa are absolute indications for cesarean section.